In acoustic neuroma, cranial nerve to be involved earliest is -
1. 5
2. 7
3. 10
4. 9

Correct answer: 1. 5